Non-oliguric ARF is caused by:
1. Aminoglycoside
2. Penicillin
3. Erythromycin
4. Ampicillin

Correct answer: 1. Aminoglycoside

Explanation: Aminoglycosides cause non-oliguric renal failure. Penicillin causes proliferative glomerulonephritis with vasculitis. Ampicillin causes interstitial nephritis.